Hypochondriasis is?
1. Preoccupation with fear of a serious illness
2. Preoccupation with multiple symptoms
3. Maintaining sick role
4. Intentional production of false or exaggerated physical symptoms

Correct answer: 1. Preoccupation with fear of a serious illness

Explanation: Ans. is 'a' i.e., Preoccupation with fear of a serious illness Hypochondriasis* The primary feature of hypochondriasis is persistent preoccupation with excessive fear of a serious (e.g., cancer) or incurable (e.g., AIDS) disease, which is based on person's own interpretation of physical symptoms or sensation, i.e., misinterpretation of physical symptoms or sensations, for example an occasional change in heart rate will lead a person with hypochondriasis to fear of heart disease.* Therefore, Hypochondriasis is abnormal preoccupation about normal body function i.e., body functioning is normal but patient thinks it as abnormal.* The preoccupation with the presence of a feared illness persists in spite of normal medical assessment and investigations. Patient goes from one doctor to another for a consultation.* People with hypochondriasis are able to acknowledge that their fears are unrealistic (insight is present), but this intellectual realization is not enough to reduce their anxiety.* Two important facts differentiate hypochondriasis from somatization disorder : -i) Patient with hypochondriasis is preoccupied with illness, on the other hand patient with somatization disorder is occupied with symptoms.ii) Hypochondriasis patient is preoccupied with one illness (usually) while patient with somatization disorder has many (at least 8 or more) symptoms.Other options* Preoccupation with multiple symptoms - Somatization disorder* Maintaining sick role - Factitious disorder (Munchausen syndrome)* Intentional production of false or exaggerated physical symptoms - Malingering